Trotter's triad includes all except
1. Sensory disturbance over distribution of the 5th cranial nerve
2. Diplopia
3. Conductive deafness
4. Palatal Palsy

Correct answer: 2. Diplopia

Explanation: Nasopharyngeal cancer can cause conductive deafness (eustachian tube blockage), ipsilateral temporoparietal neuralgia (involvement of CN V) and palatal paralysis (CN X)-- collectively called Trotter's triad. (Ref: Diseases of Ear, Nose and Throat, P.L Dhingra, 7th edition, page 285)